Least observed laboratory finding in Neonatal Sepsis is -
1. | C-reactive protein
2. Neutrophilia
3. Increased ESR
4. Increased Immature Neutrophils

Correct answer: 2. Neutrophilia

Explanation: Ans. is 'b' i.e., Neutrophilia